The reaction : succinyl Co A +acetoacetate and acetoacetyl Co A + succinate occurs in all of the following except ?
1. Brain
2. Striated muscle
3. Liver
4. Cardiac muscle

Correct answer: 3. Liver

Explanation: Thiophorase (acetoacetate – succinyl CO A, Co A transferase) is the enzyme responsible for transfer of Co A to acetoacetate converting it into acetoacetyl Co A which is responsible for utilization of ketone bodies.
Liver cells do not have enzyme thiophorase and so they can not utilize ketone bodies